A patient receives a toxic dose of lignocaine i.v., the patient is likely to exhibit:
1. Excessive salivation
2. Mydriasis and diarrhea
3. Respiratory paralysis
4. Seizures and coma

Correct answer: 4. Seizures and coma

Explanation: (Ref: KDT 6/e p356) lf LA reaches the blood stream, most prominent adverse effects are related to CNS and CVS. ln CNS, stimulation (convulsions) followed by depression (coma) is seen. Initial stimulation is due to inhibition of the inhibitory neurons.